Site where Neisseria Meningitidis bacteria harbour normally?
1. Skin
2. Genitals
3. Nasopharynx
4. Lower GIT

Correct answer: 3. Nasopharynx

Explanation: Ref: Microbiology by Ananthanarayan and Paniker, 8th ed. pg. 224-25; K. Park 20th ed. pg. 150, 151* N. Meningococci are capsulated Gram negative diplococci* Reservoir for N. Meningitides-Human nasopharynx is only reservoir of meningococcus. (N. meningitidis)* Most important source- carriers are the most imp source, not clinical cases.* They are arranged in pairs with adjacent sides flattened--7 half moon shaped.* Transport medium--Stuart's medium.* Blood agar, chocolate agar and Muller-Hinton agar are the media commonly used for culturing meningococci.* Age group- 3 month-5 years* Serotype- total 13, out of which serotype A, B, C are most important# Serotype A- Epidemics# Serotype B- Both epidemic and local outbreaks# Serotype C- Local out breaks* Chemoprophylaxis has been suggested for close contacts.* Is DOC for prophylaxis.* Ceftriaxone > ciprofloxacin > Rifampicin